Panophthalmitis involves ?
1. Inner coat of eyeball
2. Inner and outer coat but sparing tenon's capsule
3. All structure of eyeball including tenon's capsule
4. None of the above

Correct answer: 3. All structure of eyeball including tenon's capsule

Explanation: Ans. is 'c' i.e., All structure of eyeball including tenon's capsule Endophthahnitis Endophthalmitis is defined as inflammation within the anterior segment (aqueous) or posterior segment (vitreous) or both together with partial thickness involvement of the adjacent occular wall (one or more inner coats of the eye) Inflammation characteristically involves the the inner structures of the eye ball Le., uveal tissue (iris/ciliary body/ choroid) and Retina (Sclera is spared). Panophthalmitis Panopthalmitis is defined as inflammation within the anterior (aqueous) segment and' or posterior (vitreous) segment together with inflammation of all three coats of the eye. Panophthalmitis often starts as an endophthalmitis that then involves the sclera, tenon's capsule and may also involve the orbital tissue.